Investigation of choice in DVT is -
1. Venogram
2. Colordoppler
3. Plethysmography
4. X-ray

Correct answer: 2. Colordoppler

Explanation: Ans. is 'b' i.e., Color doppler